A 28-year-old P1L1 had Cu T inserted 2 years back, on examination Cu T threads are not seen. USG shows Cu T partly in abdominal cavity. Method of removal is:
1. Hysteroscopy
2. No need of removal (wait and watch)
3. IUCD hook
4. Laparoscopy

Correct answer: 4. Laparoscopy

Explanation: Copper can cause inflammatory reaction and can cause intestinal obstruction. Therefore, never wait and watch.
When Cu T is embedded within uterine cavity, hysteroscopic removal is the method of choice. It is preferred over IUCD hook. Hysteroscopy cannot visualize the Cu T that is in the abdominal cavity.
So when IUCD enters the abdominal cavity (partly or completely), laparoscopy is the preferred modality for retrieval.
Sometimes due to dense adhesions around the Cu T, a laparotomy may be required to remove it.
Remember